Carnosine is a major constituent of
1. Kidney
2. Muscle
3. Brain
4. Adipose tissue

Correct answer: 2. Muscle

Explanation: Carnosine (α-alanyl-histidine) is a dipeptide that is present in large quantities in muscle tissue.